Physiological jaundice in preterm infant lasts upto:
1. 5 days
2. 7 days
3. 10 days
4. 14 days

Correct answer: 4. 14 days

Explanation: Ans. D: 14 days Physiological jaundice usually appears on 2nd and 3rd day and disappears by 7-10th day, a little later in premature neonates Jaundice in paediatrics: Unconjugated bilirubinemia: - Criggler Najar syndrome (I and II) - Physiological jaundice - Breast milk jaundice Conjugated bilirubinemia: - MC cause: Idiopathic infantile hepatitis - Biliary atresia (intra-hepatic and extra-hepatic) In kernicterus, unconjugated bilirubin is increased In kernicterus, staining of brain is more in basal ganglia MC cause of jaundice of newborn within 24 hours is: Erythroblastosis fetalis Breast milk jaundice is due to pregnandiole In physiological jaundice, total bilirubin level rises less than 5 mg/ dl/ day